Signs of heart disease in pregnancy:a) Diastolic murmurb) Systolic murmurc) Tachycardiad) Dyspnea on exertione) Nervousness or syncope on exertion
1. acd
2. ade
3. abd
4. ad

Correct answer: 2. ade